Percentage of pheochromocytoma that are bilateral is:
1. <1%
2. 1-5%
3. 10%
4. 25%

Correct answer: 3. 10%

Explanation: Pheochromocytomas often are called the 10 percent tumor because 10% are bilateral, 10% are malignant, 10% occur in pediatric patients, 10% are extra-adrenal, and 10% are familial. Ref: Schwartz's principle of surgery 9th edition, chapter 38.